Robert Koch assistant advised him to use agar instead of gelatine for solidifying culture media for cultivation of bacteria as -
1. Agar has no more nutrition
2. Gelatin melts at 24degC
3. Gelatin is not easily available
4. Agar is cheaper

Correct answer: 2. Gelatin melts at 24degC

Explanation: Gelatin melts at 24degC. REF:Textbook of Microbiology, Ananthanarayan, and Paniker. Page no.: 39